The predominant constituent of the pale yellow gallstones in the gallbladder is
1. Mucin glycoprotein
2. Calcium carbonate
3. Cholesterol
4. Calcium phosphate

Correct answer: 3. Cholesterol

Explanation: Cholesterol stones Cholesterol stones contain almost entirely cholesterol It is often solitary, pale yellow in colour Ref: Sabiston 20th edition Pgno :1492